Which one of the following is a recognized X-ray feature of rheumatoid arthritis?
1. Juxta-articular osteosclerosis
2. Sacroilitis
3. Bone erosions
4. Peri-articular calcification

Correct answer: 3. Bone erosions

Explanation: Radiological findings of RA:- Periarticular soft tissue swelling, periarticular osteopenia, Marginal erosion, subchondral cysts, widening of joint space (early), narrowing of joint space (later), ankylosis, subluxation or dislocation, and arthritis mutilans (late in the disease).